CSF glucose level is -
1. Half the plasma glucose
2. 2/3 of plasma glucose
3. 1/3 of plasma glucose
4. Same as plasma glucose

Correct answer: 2. 2/3 of plasma glucose